HIV integrase inhibitor is ?
1. Elvitegravir
2. Abacavir
3. Maraviroc
4. Tenofovir

Correct answer: 1. Elvitegravir

Explanation: Ans. is 'a' i.e., Elvitegravir Integrase inhibitors Raltegravir and Elvitegravir act by inhibiting enzyme integrase.